Poison having local action only:
1. Sulphuric acid
2. Carbolic acid
3. Oxalic acid
4. Phosphorus

Correct answer: 1. Sulphuric acid

Explanation: Ans. Sulphuric acid